Triple assessment for cancer of breast includes which of the following?
1. History, Clinical examination and mammogram
2. History, Clinical examination and FNAC
3. USG, Mammogram and FNAC
4. Clinical Examination, Mammogram and FNAC

Correct answer: 4. Clinical Examination, Mammogram and FNAC

Explanation: Patients with suspected breast cancer should undergo triple assessment, which includes a combination of clinical examination, breast imaging (mammography and or ultrasound) and pathologic evaluation. With triple assessment definitive diagnosis of breast cancer can be made in 99% cases. Ref: Oxford Desk Reference Oncology By Thankamma V. Ajithkumar, Page 152